Suspected ectopic pregnancy is best diagnosed by
1. MRI
2. TVS
3. X-ray abdomen supine
4. HSG

Correct answer: 2. TVS

Explanation: Ans. B. TVS* Investigation of choice in a case of ectopic pregnancy/suspected case of ectopic pregnancy is Transvaginal scan.* Findings raising suspicion of ectopic on TVS:* Empty uterine cavity: most important* Finding of complex adnexal mass* Fluid (echogenic) in the pouch of Douglas.* Adnexal mass clearly separated from the ovary.* Rarely cardiac motion may be seen in an unruptured tubal ectopic pregnancy.